Pemphigus vulgaris is caused by:
1. Bacteris
2. Virus
3. Autoimmune
4. Fungal

Correct answer: 3. Autoimmune

Explanation: Ans: (c) AutoimmuneHarrison 19th ed. / 370# PEMPHIGUS* Pemphigus is an autoimmune blistering disorder* It results from the loss of integrity of normal intercellular attachments with the epidermis.* Commonly affects indiciduals of age between 40-60.* Equal prevalence among males and females.* There are five variants of pephigus:# Pemphigus Vulgaris: most common type# Pemphigus Foliaceous: superficial pemphigus# Pemphigus Vegetans: least common type# Pemphigus Erythematous# Fogo Selvagem: an endemic form of pemphigus foliacious.* Refer to above table